All of the following cross plasma membrane except:
1. Epinephrine
2. Thyroxine
3. Androstenedione
4. Estrogen

Correct answer: 1. Epinephrine